Iris pearl are seen in ?
1. Leprosy
2. Tuberculosis
3. Sarcoidosis
4. Cat Scratch disease

Correct answer: 1. Leprosy

Explanation: Ans. is 'a' i.e., Leprosy LEPROTIC UVEITIS It predominantly involves anterior uvea; more commonly in lepromatous than in the tuberculoid form of disease. Clinical types Lepromatous uveitis may occur as acute iritis (non-granulomatous) or chronic iritis (granulomatous). Acute iritis : It is caused by antigen-antibody deposition and is characterised by severe exudative reaction. Chronic granulomatous iritis : It occurs due to direct organismal invasion and is characterised by presence of small glistening'iris pearls' near the pupillary margin in a necklace form; small pearls enlarge and coalesce to form large pearls. Rarely, a nodular lepromata may be seen. Treatment : Besides usual local therapy of iridocyclitis antileprotic treatment with Dapsone 50-100 mg daily or other drugs should also be instituted.